Popcorn calcification in mammography is seen in
1. Fibro adenoma
2. Fat necrosis
3. Cystosarcoma phyllodes
4. CA breast

Correct answer: 1. Fibro adenoma

Explanation: Pattern of calcification in breast diseases Carcinoma--Microcalcification, punctuate, branching Fibro adenoma - Popcorn( coarse, granular, crushed Stone) Fibrocystic disease - powdery Fat necrosis - Curvilinear Ref: Robbins 9th edition Pg no : 1069